Gas gangrene is caused by -rpt question
1. Clostridium novyi
2. Clostridium septicum
3. Clostridium histolyticum
4. Clostridium perfrigens

Correct answer: 4. Clostridium perfrigens

Explanation: Gas gangrene is rapidly spreading, edematous myonecrosis occurring characteristically in association with a severe wound of extensive muscle mass contaminated by pathogenic clostridia. The most frequently encountered is Clostridium perfringens. Reference: Textbook of Microbiology; Anathanarayan and paniker's; 10th edition; Page no: 261